All organisms shows bipolar staining except -
1. Calymmatobacter granulomatis
2. Y. pestis
3. Pseudomonas mallei
4. H. influenzae

Correct answer: 4. H. influenzae

Explanation: Ans. is 'd' i.e., H. influenzae Bipolar staining (safety pin appearance)o Some bacteria display a safety pin appearance due to the accumulation of dye at the poles of the cells,o This characteristic is called bipolar staining.o Bacteria showing bipolar staining are-1. Calymmatobacter granulomatis (Donovani granulomatis)4. Vibrio parahemolyticus2 Pseudomonas mallei5. Yersinia pestis3. Pseudomonas pseudomallei6. H. ducreyi